Commonest of female cause pseudohermaphrodism ?
1. CAH
2. Maternal ovarian tumor
3. Maternal drug intake
4. Chromosomal abnormalites

Correct answer: 1. CAH

Explanation: Ans. is 'a' i.e., CAH Female pseudohermaphroditism. Gentotype is XX Gonads are ovaries External genitalia are virilized (male differentiation). As there is no mullarian inhibiting factor, mullarian duct develops into uterus tubes and ovary. But due to presence of androgen external genitalia are virilized. Causes are: Congenital adrenal hyperplasia(most common) 21 hydroxylase deficiency 11 beta hydroxylase deficiency Maternal virilizing tumor Arrhenoblastoma Maternal medications with androgen.